In what form does the product of glycolysis enter the TCA cycle?
1. Acetyl-coA
2. Pyruvate
3. NADH
4. Glucose

Correct answer: 1. Acetyl-coA

Explanation: Ans. A. Acetyl-coACoA is acetylated during breakdown of carbohydrates through glycolysis, as well as by the b-oxidation of fatty acids. It then enters the TCA Cycle, where the acetyl group is further oxidized to carbon dioxide and water, with the energy thus released captured in the form of 11 ATP and one GTP per acetyl group.